A patient inventing new words, is a feature of -
1. Neurosis
2. Schizophrenia
3. OCD
4. Von-Gogh syndrome

Correct answer: 2. Schizophrenia

Explanation: Ans is 'b' i.e. Schizophrenia o Neologism is defined as a completely new word or phrase whose derivation cannot be understood. It is feature of psychosis like schizophrenia.o Von-Gogh syndrome is self mutilation type of schizophrenia.o Neologism:- New words or condensations of several words that are not readily understood by others. Neologism is seen in schizophrenia and organic brain syndrome.o Word salad (Verbigeration):- Speech is composed of repeated, meaningless words and sentences. It is characteristic of patients with catatonic schizophrenia.o Vorbeireden:- There is failure to reach the central idea of discussion - The patient seems always about to get to the end point, but skirts round it and never in fact reaches it. Patient gives approximate answer. Seen in Schizophrenia and Ganser syndrome.o Echolalia:- A parrot like repetition of another person's speech. Seen in catatonic schizophrenia, Aphasia, Tourette syndrome, autism, Alzheimer's syndrome, Asperger syndrome.